With regard to Ketamine, all of the following are true except:
1. It is a direct myocardial depressant
2. Emergence phenomenon are more likely if anticholinergic premedication is used
3. It may induce cardiac dysarythmias in patients receiving tricyclic antidepressants
4. Has no effect on intracranial pressure

Correct answer: 4. Has no effect on intracranial pressure

Explanation: D i.e. Has no effect on intracranial pressure